Cabot's ring is seen in -
1. Megaloblastic anemia
2. Sickle cell disease
3. Iron deficiency anemia
4. Autoimmune anemia

Correct answer: 1. Megaloblastic anemia

Explanation: Ans. is 'a' i.e., Megaloblastic anemia o Cabot rings are seen most commonly in megaloblastic anemia, followed by lead poisoning.